Pulsus bisiferiens is seen in all, except -
1. Aortic regurgitation + Aortic stenosis
2. obstructive cardiomyopathy
3. Hypertrophic cardiomyopathy
4. Tetralogy of Fallot

Correct answer: 4. Tetralogy of Fallot

Explanation: pulsus bisferiens, , is a sign where, on palpation of the pulse, a double peak per cardiac cycle can be appreciated. Bisferious means striking twice. Classically, it is detected when aortic insufficiency exists in association with aortic stenosis, but may also be found in isolated but severe aortic insufficiency and hypertrophic obstructive cardiomyopathy. Normally, arterial pulses are best felt in radial arteries but character is better assessed in carotid artery. Pulsus bisferiens is best felt in brachial and femoral arteries. Ref Harrison 20th edition pg 1432